"Ollendroff sign" is
1. Tiny pink bleeding spots seen over the skin after gruttage of skin
2. Localized tissue destruction of upper end of Tibia on medical side
3. Deep dermal tenderness
4. Periostitis

Correct answer: 3. Deep dermal tenderness

Explanation: "Ollendroff sign" is seen in secondary syphilis, pressure over palm and sole lesions elicit severe pain- Deep dermal tenderness.
Option c) is the correct answer.
Option a) - Auspitz sign seen in Psoriasis
Option b)  - Wimberger's sign seen in early congenital syphilis
Option c) - Periostitis seen in late congenital syphilis.